Bolam's test is used in:
1. Drowning
2. Arsenic poisoning
3. Medical negligence
4. Legal test of insanity

Correct answer: 3. Medical negligence

Explanation: Bolam's test is used to assess the standard of care when deciding medical negligence.